Which of the following is not weaning mode of ventilation:
1. Control mode ventilation
2. SIMV
3. PSV
4. CPAP

Correct answer: 1. Control mode ventilation

Explanation: Weaning is gradual dicontinuation of ventilator. The modes which encourages the patients breathing can only be used as weaning mode. Control Mode Ventilation is not the weaning mode. Mechanical criteria for Discontinuing Mechanical Ventilation Inspiratory pressure <-25 cm H2O Tidal volume >5 mL/kg Vital capacity >10 mL/kg Minute ventilation <10 mL Rapid shallow breathing index <100